Duroziez’s sign is seen in?
1. Aortic Regurgitation
2. Aortic Stenosis
3. Mitral Stenosis
4. Mitral Regurgitation

Correct answer: 1. Aortic Regurgitation

Explanation: Duroziezs sign is seen in severe aortic regurgitation, gradual pressure over the femoral artery leads to a systolic and diastolic bruit.
The systolic murmur is heard best when the proximal femoral artery is compressed and the diastolic when the distal femoral artery is compressed.